Fournier's gangrene is seen in
1. Nose
2. Scrotal skin
3. Oral cavity
4. All are true

Correct answer: 2. Scrotal skin

Explanation: Ref Robbins 7/e p21;8/e p15;9/e p43